A person is having HBsAg negative, Anti-HBs positive, Anti HBc positive. Most probable diagnosis is?
1. Immunity due to vaccination of hepatitis B
2. Immunity due to infection of hepatitis B
3. Acute infection of hepatitis B
4. Chronic infection of hepatitis B

Correct answer: 2. Immunity due to infection of hepatitis B

Explanation: Immunity due to infection of hepatitis B REF: CURRENT Medical Diagnosis & Treatment Chapter 16. Liver, Biliary Tract, & Pancreas Disorders See APPENDIX-28 for "MARKERS OF HEPATITIS-B"